Max. blood supply to liver is by:
1. Portal Vein
2. Hepatic Art
3. Splenic Art
4. Mesenteric Art

Correct answer: 1. Portal Vein

Explanation: A i.e. Portal ABlood supply of liver through: Portal vein is 80%Q and Hepatic artery is 20%